Increasing number of services in rural areas is a part of -
1. Intersectoral coordination
2. Equitable distribution
3. Appropriate technology
4. None

Correct answer: 2. Equitable distribution

Explanation: Ref: 25th Ed K.Park's Textbook Of Preventive and Social Medicine